Florence test is used for:
1. Blood stains
2. Seminal stains
3. Salivary stains
4. Sweat stains

Correct answer: 2. Seminal stains

Explanation: Ans. Seminal stains